Bregma is the name given to the junction of the
1. Coronal and sagittal sutures
2. Frontal bone with the nasal bone
3. Lambdoid and sagittal sutures
4. Parietal & Occipital bone

Correct answer: 1. Coronal and sagittal sutures

Explanation: Bregma:

Bregma is the meeting point between coronal and sagittal sutures.
Seen in norma verticalis view of skull.
In foetal skull, this is the site of a membranous gap, called anterior fontanelle. It ossifies at 18 months of age.